Binimetinib was approved by FDA recently for
1. Prostate cancer
2. Melanoma
3. Small pox
4. Chicken pox

Correct answer: 2. Melanoma

Explanation: orally available inhibitor for mitogen activated protein kinase MEK 2 specially.